A 22 yr old female, Neeta presented to you with complaints if headache and vomiting since 2 months b. She is having amenorrhea but urine pregnancy test is negative. She also complained big secretion big milk from the breasts. A provision diagnosis of hyper prolactinemia was made and MRI was suggested. MRI confimed the presence of large Pituatory Adenoma Neeta was advised surgery however she is not willing to undergoe surgery. Which of the following medications is most likely to be prescribed
1. Sumatriptan.
2. Bromocriptine
3. Ergotamine
4. Allopurinol

Correct answer: 2. Bromocriptine

Explanation: Refer KK Sharma 2/e p 550 Bromocriptine is a D2 agonist and is useful in hyoerprolactinemia by its action to inhibit the release of prolactin.